False about SACH Foot
1. Allows easy movement at ankle
2. No inversion and eversion
3. Solid ankle cushion heal
4. Base foot walking is not possible

Correct answer: 1. Allows easy movement at ankle

Explanation: Sach Foot 


Jaipur Foot 







Solid Ankle Cushion Heal
No movement at ankle 
No movements at subtalar joint
Difficult to walk on uneven grounds
Suitable for western lifestyle




Jaipur Foot (Dr. P.K Sethi)
Movement possible at ankle
Movement possible at subtalar joint 
Can easily walk on uneven ground
Suitable for Indian lifestyle